Preganglionic Parasympathetic fibres are not carried by which cranial nerve -
1. III
2. V
3. VII
4. X

Correct answer: 2. V

Explanation: Ans. is 'b' i.e., V o Parasympathetic origin ---> Cranio-Sacral (III, VII, IX, X, S2-S4) o Sympathetic origin --> Dorso-lumbar (T1 to L2 or L3)